Retinoblastoma arises from
1. Layer of rods & cones
2. Layer of bipolar cells
3. External limiting membrane
4. Any nucleated retinal layer

Correct answer: 4. Any nucleated retinal layer

Explanation: Arises from immature retinal neural cells.